First increase of reticulocyte count occurs after how many hours of iron therapy
1. 48 - 72 hrs
2. 24 hrs
3. 96 hrs
4. 6 hrs

Correct answer: 1. 48 - 72 hrs

Explanation: Ans: a (48 - 72 hrs) Ref: OP Ghai, 6th ed, p. 302Rise in reticulocyte count occurs by 48 - 72 hrs after start of Iron therapy.Course of events after starting iron therapy :1. Child becomes less irritable and appetite improves within 24 hrs2. Bone marrow response is observed within 48 hrs3. Rise in reticulocyte count by 2nd to 3rd day4. Elevation of hemoglobin occurs next which may take upto 2 months depending on the severity of anaemiaNote:Dosage for parentral iron (iron dextran)Iron (mg) = Wt (kg) x Hb deficit (gm/dl) x 4